Angelman syndrome is due to -
1. Digenic inheritence
2. Inversion
3. Uniparental disomy
4. Mitochondrial disorder

Correct answer: 3. Uniparental disomy

Explanation: Robbins basic pathology 9th edition page no 244 Angelman syndrome, as might be expected, can result from uniparental disomy of parental chromosome 15.